Substrate level phosphorylation is by
1. a) Pyruvate kinase
2. b) Phosphofructokinase
3. c) Hexokinase
4. d) ATP synthase

Correct answer: 1. a) Pyruvate kinase

Explanation: substrate level phosphorylation-- Enzyme phosphoglycerate kinase- Enzyme pyruvate kinase.